Isolation of Chlamydia from tissue specimen can be done by:
1. ELISA (Enzyme Linked Immune Assay)
2. Yolk sac inoculation
3. Direct ImmunofluotescenceAntibody test (DFA)
4. Polymerase Chain Reaction (PCR)

Correct answer: 2. Yolk sac inoculation

Explanation: Ans. is 'b' i.e., Yolk sac inoculationRef: Harrison, 19th/e, p. 1165 and Ananthanarayan, 9th/e, p. 415Isolation of chlamydia can be done by using yolk sac or cell lines. NAAT detect DNA of bacteria so it is an identification test so bacteria cannot isolate by using this method.